All are found in Small Intestine except?
1. Stem cells
2. Goblet Cells
3. Neck Cells
4. Paneth Cells

Correct answer: 3. Neck Cells

Explanation: Neck cells are present in stomach . Goblet cells secrete mucus Paneth cells provides immunity by secreting cytokines Stem Cells are pleuripotent cells which help in repair